All of the following actions of aspirin are mediated by inhibition of prostaglandin synthesis EXCEPT :
1. Analgesia
2. Closure of patent ductus arteriosus
3. Hyperventilation
4. Bleeding tendency

Correct answer: 3. Hyperventilation